The amino acid from which niacin synthesized is:
1. Tyrosine
2. Tryptophan
3. Threonine
4. Histidine

Correct answer: 2. Tryptophan